All of the following are the well established modifiable risk factors of coronary heart disease except -
1. Cigarette smoking
2. Genetic factors
3. High blood pressure
4. Elevated serum cholesterol

Correct answer: 2. Genetic factors

Explanation: Non modifiable risk factors:- Age Sex Family history Genetic factors Personality Modifiable Risk factors Cigarette smoking High blood pressure Elevated serum cholesterol Diabetes Obesity Sedentary habits Stress Ref- Park's textbook of Preventive and Social Medicine 24th edition.